Sickness benefit under ESI is available for a period-
1. 30 days
2. 46 days
3. 57 days
4. 91 days

Correct answer: 4. 91 days

Explanation: Ans. is 'd' i.e., 91 days Sickness benefit under ESI* The sickness benefit is payable for a maximum period of 91 days in any continuous period of 365 days.* The daily rate is 50% of the average daily wage.* Extended sickness benefit - In this, persons suffering from certain long term diseases are entitled to Extended sickness benefit in addition to 91 days.* The extended sickness benefit is payable for 309 days.* Diseases for which extended sickness benefit is payable. (In case where the insured person has been in continuous employment for 2 years).